Function of preoptic nucleus of hypothalamus
1. Temperature regulation
2. Thirst
3. Sexual behaviors
4. All of the above

Correct answer: 4. All of the above

Explanation: Preoptic nucleus - A pair of hypothalamic nuclei (medial and lateral) in the most anterior sector -- the preoptic region -- of the wall of the third ventricle. Various parts of these nuclei appear to inhibit arousal during sleep, influence temperature regulation, influence the perception of thirst, regulate the release of gonadotropins from the anterior pituitary (adenohypophysis), and influence sexual behaviors.Ref: Ganong's review of medical physiology; 24th edition;